All of the following are true about regional blood flow in pregnancy except :
1. Uterine blood flow at term is 750 ml/min
2. Blood flow through skin decreases
3. Renal blood flow increases by 50%
4. Pulmonary blood flow increase

Correct answer: 2. Blood flow through skin decreases

Explanation: REGIONAL DISTRIBUTION OF BLOOD FLOW: Uterine blood flow is increased from 50 mL/min in non-pregnant state to about 750 mL near term. The increase is due to the combined effect of uteroplacental and fetoplacental vasodilatation. The vasodilatation is due to the smooth muscle relaxing effects of progesterone, estrogen, nitric oxide (endothelium derived factor), prostaglandins and atrial natriuretic peptide (ANP). In a normal pregnancy, vascular system becomes refractory to angiotensin II, endothelin I and other pressure agents. Pulmonary blood flow (normal 6000 mL/min) is increased by 2500 mL/min. Renal blood flow (normal 800 mL) increases by 400 mL/min at 16th week and remains at this level till term. The blood flow through the skin and mucous membranes reaches a maximum of 500 mL/min by 36th week. Heat sensation, sweating or stuffy nose in pregnant woman is thus explained. Reference: Dutta's Textbook of Obstetrics 7th edition page no 54